The adaption stage of a pedicle soft tissue graft takes
1. 0-3 days
2. 1-3 days
3. 0-4 days
4. 1-2 days

Correct answer: 3. 0-4 days